Left gonadal vein drain into:
1. Left renal vein
2. Right renal vein
3. Inferior vena cava
4. Pampiniform plexus

Correct answer: 1. Left renal vein

Explanation: Ans. A Left renal veinRef: BDC, Vol. II pg. 236 VENOUS DRAINAGE OF TESTIS* The veins emerging from the testis form the pampiniform plexus.* Out of this plexus finally one vein forms in each side:# On the right side: Drains into the inferior vena cava# On the left side: Drains into the left renal vein.* Femoral vein drains into external iliac vein.Remember: IVC is on right side, so the right side testicular vein drains here"And left side testicular vein drains into left renal vein.